Mission Indradhanush was started in -
1. Jan-05
2. Jul-10
3. Dec-14
4. Mar-16

Correct answer: 3. Dec-14

Explanation: Ans. is 'c' i.e., Dec 2014 Mission Indradhanush o The Government of India launched Mission Indradhanush on 25th December 2014, to cover children who are either unvaccinated or partially vaccinated against seven vaccine preventable diseases, i.e., diphtheria, whooping cough, tetanus, polio, tuberculosis, measles and hepatitis B. o The goal is to vaccinate all under-fives by the year 2020. Under the programme, four special vaccination compaigns will be conducted between January and June 2015. Intensive planning and monitoring experience of pulse polio immunization programme will be used o The drive will be through a "catch-up" campaign mode. o The mission will be technically supported by WHO, UNICEF, Rotary International and other donor partners. o In 2016, five new additions have been made namely Rubella, Japanese Encephalitis, Injectable Polio Vaccine Bivalent, Rotavirus and "Haemophilus influenzae type B"